Anti rabies vaccine is prepared from -
1. Wild virus
2. Live attenuated virus
3. Street virus
4. Fixed virus

Correct answer: 4. Fixed virus

Explanation: Fixed strain of virus is used in the preparation of antirabies vaccine. Reference:Park's textbook of preventive and social medicine,K.Park,23rd edition,page no:277